The orthodontic diagnosis focuses on
1. Full smile
2. Emotional smile
3. Social smile
4. Gummy smile only

Correct answer: 3. Social smile

Explanation: There are two types of smiles: the posed or social smile, and the emotional smile. 
The social smile is reproducible, and is the one that is presented to the world routinely. 
The emotional smile varies with the emotion being displayed. 
The social smile is the focus of orthodontic diagnosis.
Contemporary orthodontics, Proffit, 4th edition page 186